Those cells that must co-operate with B cells to produce antibody in response to certain antigens are known as
1. Stem cells
2. Plasma cells
3. Macrophages
4. Helper T cells

Correct answer: 4. Helper T cells

Explanation: In the antibody-mediated immune response, CD4 T lymphocytes recognize the pathogen's antigens bound to the class II MHC molecules on the surface of an antigen-presenting cell (APC) (eg, macrophage, B cell), and as a consequence of this interaction, cytokines are produced that stimulate B cells to express antibodies that display specificity for the antigen. Stem cells - Pleuripotent cells Plasma cells - Antibody production Macrophages - Phagocytosis Ref : Ananthanarayana textbook of Microbiology 9th edition Pgno : 135